Howel Jolly bodies seen in peripheral smear after
1. Splenectomy
2. Appendicectomy
3. In hereditary spherocytosis
4. After nephrectomy

Correct answer: 1. Splenectomy

Explanation: (A) Splenectomy > Howell-Jolly bodies are histopathological findings of basophilic nuclear remnants (clusters of DNA) in young erythrocytes during the response to severe hemolytic anemia, megaloblastic anemia, splenectomy, or due to a damaged spleen.> They can be present in conditions such as hyposplenism, hereditary spherocytosis, sickle cell anemia and myelodysplastic syndrome (MDS).